Knowledge of the segmental cutaneous innervation of the skin of the lower extremity is important in determining the level of intervertebral disk disease. Thus, S1 nerve root irritation will result in pain located along the:
1. Anterior aspect of the thigh.
2. Medial aspect of the thigh.
3. Anteromedial aspect of the leg.
4. Lateral side of the foot.

Correct answer: 4. Lateral side of the foot.

Explanation: D i.e. Lateral side of foot